All are clinical features of PID except :
1. Temp >38degC
2. WBC count of 15,000
3. ESR - 10 mm/hour
4. Tenderness on movement of cervix

Correct answer: 3. ESR - 10 mm/hour

Explanation: Features lower abdominal,adnexal,cervical motion tenderness temperature >38degree leucocyte count>10,000 per cu mm ESR>15mm /hr D.C.DUTTA'S TEXTBOOK OF GYNECOLOGY,Pg no:130,6th edition